Leukotoxin is released by:
1. P. nucleatum
2. A. naeslundii
3. B. forsythna
4. A. actinomyctem comitans

Correct answer: 4. A. actinomyctem comitans